What is common between systemic and pulmonary circulation is
1. Volume of the circulation per minute
2. Peripheral vascular resistance
3. Pulse Pressure
4. Total Capacity

Correct answer: 1. Volume of the circulation per minute